All of the following lesions of the oral cavity are premalignant except-
1. Erythroplakia
2. Hyperplastic candidiasis
3. Sideropenia
4. Aphthous ulcer

Correct answer: 4. Aphthous ulcer

Explanation: Ans. is 'd' i.e., Aphthous ulcer Lesions with increased risk of malignancy* Premalignant condition: - Leukoplakia, Erythroplakia, Speckled erythroplakia, chronic hyperplastic candidiasis.* Conditions increasing risk: - Oral submucous fibrosis, syphilitic glossitis, sideropenic dysphagia (Peterson Kelly syndrome).* Risk is doubtful: - Oral lichen planus, DLE, Dyskeratosis congenita.* Not premalignant:- Aphthous ulcers.